Unit of absorbed dose of radiation -
1. Curie
2. Roentgen
3. Gray
4. Becquerel

Correct answer: 3. Gray

Explanation: Ans. is 'c' i.e., Grayo 100 Rad is equal to 1 gray or 1 rad is equal to 0[?]01 gray.Quantity measuredOld unitNew (SI) unit RadioactivityCurieBecquerel1 curie = 3[?]7 x 1010 Becquerel1 Becquerel = 2[?]7 x 10-11 curieRadiation exposureRoentgenColumb/cm Absorbed doseRadGray (Gy)100 rad = 1 Gray1 rad = 0[?]01 GrayDose equivalentRemSievert (Sv)100 Rem = 1 Sievert1 Rem = 0[?]01 Sievert